Homocystein is not associated with ?
1. Coronary artery disease
2. Fracture
3. Hearing loss
4. Neuropsychiatric manifestations

Correct answer: 3. Hearing loss

Explanation: Ans. is 'c' i.e., Hearing lossElevated level of homocysteine (hyperhomocysteinemia) is associated with -Thrombosis, coronary artery disease & stroke. Osteoporosis & fracture.Neuropsychiatric manifestations. Developmental delay.Visual disturbances.